What is hyperplasia
1. Decrease in cell size
2. Increase in cell size
3. Increase in cell number
4. Decrease in cell number

Correct answer: 3. Increase in cell number

Explanation: Physiological adaptive responses include: 
◆ Hypertrophy - increase in cell size 
◆ Hyperplasia - increase in the number of cells 
◆ Atrophy - decrease in cell size and number
◆ Metaplasia - reversible replacement of one cell type by another differentiated cell type
 Hyperplasia is common in cells capable of replication namely labile cells / stable cells or stem cells